Anti-microbials are given with which type of diarrhea:
1. Traveller s diarrhea
2. Rotavirus
3. Secretory diarrhea
4. Osmotic diarrhea

Correct answer: 1. Traveller s diarrhea

Explanation: Ans. (a) Traveller's diarrheaRef: Harrison 19th ed. 1727\Ananthanarayan 9/e 279* Anti- microbials are given for Traveller's diarrhea.* Standard regimen is a 3-day course of a quinolone taken twice daily.* The current approach to self-treatment of travellers' diarrhea for the typical short-term traveller is to carry three once-daily doses of an antibiotic and to use as many doses as necessary to resolve the illness.* If neither high fever nor blood in the stool accompanies the diarrhea, loperamide should be taken in combination with the antibiotic; studies have shown that this combination is more effective than an antibiotic alone and does not prolong illness.* Prophylaxis- bismuth subsalicylate- widely used but only -60% effective.* For certain individuals (e.g., athletes, persons with a repeated history of travelers' diarrhea, and persons with chronic diseases), a single daily dose of a quinolone, azithromycin, or rifaximin during travel of < 1 month's duration is 75-90% efficacious in preventing travellers' diarrhea.* Causes of travellers' diarrhea- Enterotoxigenic E coli is most common cause.* Other causes- Enteroaggrative E coli, Salmonella, Shigella, Vibrio, Campylobacter etc.